Inability to perform a VCUG in children should raise suspicion of:
1. Hydronephrosis
2. Renal calculus
3. Ureteric strictures
4. Urethral strictures

Correct answer: 4. Urethral strictures

Explanation: Ans. D. Urethral stricturesVCUG is performed by catheterizing the urethra and injecting the dye through it. The dye from the urethra enters the urinary bladder and in cases of VUR, may go up into the ureter and even the renal calyx. Inability to perform a VCUG should strongly raise suspicion of urethral strictures. In such cases, retrograde urethrography should be performed.